Silicosis can be controlled by:
1. Effective implementation of factories act
2. Rigorous dust control
3. Adequate personal hygiene
4. BCG vaccination

Correct answer: 2. Rigorous dust control

Explanation: Ans. B i.e. Rigorous dust control